The mechanism of action of sodium nitroprusside is:
1. Increased cAMP
2. Stimulation of guanylate cyclase
3. Calcium channel blockage
4. K+ channel opener

Correct answer: 2. Stimulation of guanylate cyclase

Explanation: Ans. (B) Stimulation of guanylate cyclase(Ref: KDT 8th/e p544)Sodium nitroprusside acts by releasing nitric oxide (NO). This stimulates guanylate cyclase and results in the elevation of cGMP, which is a potent vasodilator.